Investigation of choice to visualize gallbladder pathologies:
1. CT
2. USG
3. Plain X-Ray
4. MRCP

Correct answer: 2. USG

Explanation: Ultrasound is the Investigation of Choice for most Gall Bladder pathologies like Acute Cholecystitis, Gb polyp, Gb calculus.